Not true about innate immunity
1. Not influenced by hormones
2. Dependent on genetic constitution
3. Identical twins have same degree of resistance
4. Not influenced by exposure to antigen

Correct answer: 1. Not influenced by hormones

Explanation: Innate immunity is influenced by hormones: Endocrine disorders like diabetes are associated with enhanced susceptibility to infection due to altered innate immunity.
Innate immunity is dependent on genetic constitution of the individual. Homogenous identical twins exhibit similar degree of innate immunity.
Innate immunity is nonspecific, it is not influenced by exposure to antigen.